An increase in which of the following parameters will shift the O2 dissociation curve to the left
1. Temperature
2. Partial pressure of CO2
3. 2,3 DPG Concentration
4. Oxygen affinity of haemoglobin

Correct answer: 4. Oxygen affinity of haemoglobin